Drug used for Burger's disease
1. Xanthinol microtinate
2. Propranolol
3. GTN
4. All the above

Correct answer: 1. Xanthinol microtinate

Explanation: . -Xanthinol microtinate is the drug used in buerger's disesase. -Injection of 3000mg from day 1to 9000 mg on day 5 is often practiced to promote ulcer healing .helps to increase claudication distance as a temporary basis. -other drugs used are pentoxiphylline ,low dose aspirin,prostacyclins,ticlopidine,carnitine,cilsotazole,low molecular dextran etc... Refer page no 181 of SRB's manual of surgery 5 th edition.